A ventilator pressure relief valve stuck in closed position can result in
1. Barotrauma
2. Hypoventilation
3. Hypoxia
4. Hyperventilation

Correct answer: 1. Barotrauma

Explanation: A ventilator pressure relief valve stuck in closed position can generate excessively high pressure in the patient's lung,resulting in barotrauma.Barotrauma and volutrauma overdistend and distrupt lung tissue;may be clinically manifest by interstitial emphysema,or pneumothorax;and can result in the liberation of cytokines from over distended tissues,further promoting tissue injury. Reference:Harrison's Medicine